Drug of choice for termination paroxysmal Supraventricular tachycardia is
1. Calcium channel blockers
2. Beta blockers
3. Adenosine
4. Digitalis

Correct answer: 3. Adenosine

Explanation: Refer kDT 7/e p536 Adenosine is a sho-actingmedication that is commonly used as a first-line drug to treat PSVT. Other treatment options for other atrial tachycardias include calcium channel blockers, beta blockers, digoxin, and amiodarone.